Mitochondrial membrane contains a protein which is transporter of:
1. Oxaloacetate
2. Acetyl CoA
3. NADH
4. ATP

Correct answer: 4. ATP

Explanation: Mitochondrial membrane has ADP - ATP translocase, which transports ADP in & ATP out of mitochondria. ADP - ATP translocase helps in the transfer of molecules across the IMM. They have Flip Flop Mechanism. Atractyloside inhibits ADP-ATP Translocase